Which test uses oligomer with single base pair substitution as a primer -
1. PCR
2. RFLP
3. Error coded mutation analysis with PCR
4. Site directed mutagenesis

Correct answer: 4. Site directed mutagenesis

Explanation: Site-directed mutagenesis or oligonucleotide-directed mutagenesis uses oligomer with single base pair substitution as a primer to create a specific DNA sequence change (in gene), thus producing modified proteins with a change in primary structure.